All are true about Diagnosis of hemolytic anemia except-
1. Elevated unconjugated bilirubin in the blood
2. Low LDH in the blood
3. Haptoglobin levels are decreased
4. Direct cooms test is positive

Correct answer: 2. Low LDH in the blood

Explanation: Lab evaluation of hemolysis Tets for increased red cell breakdown serum unconjugated bilirubin is increased urine urobilinogen raised Faecal stercobilinogen raised Serum haptoglobin(alpha globulin binding protein)reduced or absent Plasma LDH raised. Evidenceof intravascular hemolysis Tests for increased red cell production Reticulocytosis Routine blood film B.M shows erythroid hyperplasia X ray bone shows expansion of marrow space Tests of damage to red cells Abnormal morphological appearance of red cell in blood routine Osmotic fragility increased or decreased Coobs antiglobulin test for AIHA Electrophoresis Estimation of HbA2 Estimation of HbF Test for sickling Screening for G6PD deficiency Ref: Harsh Mohan textbook of pathology, 7th edition.Pg no.287 Ref Robbins 9/e pg 416